Lithogenic bile has the following properties
1. Increased Bile and cholesterol ratio
2. Decreased Bile and cholesterol ratio
3. Equal bile and cholesterol ratio
4. Decreased cholesterol only

Correct answer: 2. Decreased Bile and cholesterol ratio

Explanation: An excess of cholesterol relative to bile acids and phospholipids allows cholesterol to form crystals and such bile is called lithogenic or supersaturated bile Lithogenic bile Increased Biliary cholesterol Obesity Cholesterol rich diet Cholesterol therapy Decreased Bile Acids Primary biliary cirrhosis OCP's Mutation of CYP7A1 gene Impaired enterohepatic circulation of bile acids : Ileal disease or resection, cholestyramine or colestipol(bile acid sequestrants) Decreased biliary Lecithin MDR-3 gene mutation leads to defective Lecithin secretion inBile Ref : Sabiston 20th edition Pgno :1492